Cadaveric spasm develops
1. Less than 2 hours of death
2. 6 hours of death
3. Instantaneous with death
4. Same as rigor mortis

Correct answer: 3. Instantaneous with death

Explanation: (Instantaneous with death): (150 31st/edition; 3.18- Parikh's 6th/e)CADAVERIC SPASM or instantaneous rigor or Cataleptic rigidityCharacterized by stiffening of the muscles immediately after death without being preceded by the stage of primary relaxationThe conditions necessary for its development are1. Somatic death must occur with extreme rapidity2. The person must be in a state of great emotional tension3. The muscle must be in physical activity at that timeTraitRigor mortisCadaveric spasm1. ProductionFreezing and exposure to temperature above 65degC will produce rigorCan not be produced by any method after death2. MechanismKnownNot clearly krown3. Predisposing factorsNilSudden death, excitement, fear, exhaustion nervous tension etc4. Time of onset1 to 2 hours after deathInstantaneres5. Muscles involvedAll the muscles of the body both voluntary and involuntaryUsually restricted to a single group of voluntary muscles6. Muscle stiffeningNot marked, moderate force can overcome itMarked very force is require to over come it7. Molecular deathOccursDoes not occurs8. Body heatColdWarm9. Electrical stimuliMuscles do not respondMuscles response10. Muscular reactionAcidicAlkaline11. Medicolegal importanceIndicate time of death*** Indicate mode of death*** Sudden death associated with great emotional tension* Indicates the muscles in the physical activity at the time of death